Approximate time, at the end of which, the quantity of ATP within ischemic cardiac myocytes is reduced to 10% of original is -
1. <2 minutes
2. 10 minutes
3. 20 minutes
4. 40 minutes

Correct answer: 4. 40 minutes